Normal pressure in superficial venous system of leg while walking is
1. 80 mmHg
2. 60 mmHg
3. 50 mmHg
4. 30 mmHg

Correct answer: 4. 30 mmHg

Explanation: Pressure in superficial venous system decreases to 30 mmHg while walking as blood flows from superficial to deep veins.